All are the features of carcinoid syndrome except:
1. Wheezing
2. Diarrhea
3. Acute appendicitis
4. Flushing

Correct answer: 3. Acute appendicitis

Explanation: Ans. C: Acute appendicitis The most common (and often earliest) sign is an uncomfortable flushing, typically of the head and neck, often precipitated by emotional stress or the ingestion of food, hot beverages, or alcohol. Striking skin color changes may occur, ranging from pallor or erythema to a violaceous hue. Abdominal cramps with recurrent diarrhea occur and are often the patient's major complaint. Malabsorption syndrome may occur. Patients with valvular lesions may have a heart murmur. A few patients have asthmatic wheezing, and some have decreased libido and erectile dysfunction; pellagra develops rarely.